All are true about panel discussion except ?
1. Two way discussion
2. 6 to 20 members participates
3. Chief members initiates
4. Each one prepares the topic of discussion

Correct answer: 2. 6 to 20 members participates

Explanation: Ans. is 'b' i.e., 6-20 members participates Panel discussion o It is a two way communication. 4 - 8 persons who are qualified to talk about a topic and discuss a given problem in front of a large group or audience. o The panel comprises a chairman. o The chairman opens the meeting, welcomes the group and introduces the panel speakers. o He indroduces topic briefly and invite the panel speakers to present their point of view. o After the main aspects of subject are explored by panel speakers, the audience is invited to take part. o If members of the panel are unacquainted with this method, they may have a preliminary meeting, prepare the material on the subject and decide upon the method and plan of presentation.